Which protein is abundant in our body:
1. Collagen
2. Albumin
3. Myoglobin
4. Hemoglobin

Correct answer: 1. Collagen

Explanation: Ans. (a) CollagenRef: Harrisons, 19th ed. pg. 2504* Collagen is the most abundant protein in the body.* Harrisons states: "The first genes cloned for connective tissues were the two genes coding for type I collagen, the most abundant protein in bones, skin, tendons, and several other tissues.